The order of sensory blockade of local anesthesia is:
1. Temperature - pain - touch - pressure
2. Pain - pressure - touch - temperature
3. Touch - pressure - temperature - pain
4. Touch - pain - pressure - temperature

Correct answer: 1. Temperature - pain - touch - pressure

Explanation: Individual type of nerve differs in their minimal blocking concentration. Not all sensory and motor modalities are blocked equally by local anesthetics. This is termed differential blockade. For different fibers order of blockade b > AS = C > AU > A b > Aa autonomic > sensory> motor is the sequence of block. for sensory blockade the sequence is Temperature - pain - touch - pressure